A 32-year-old female is brought by his family with history of gradual onset of suspiciousness, muttering and smiling without clear reason, decreased socialization, and violent outbursts. Mental status examination revealed a blunt affect, thought insertion, impaired judgement and insight. The most likely diagnosis would be:
1. Delusional disorder
2. Depression
3. Schizophrenia
4. Anxiety disorder

Correct answer: 3. Schizophrenia

Explanation: Ans. C. SchizophreniaSchizophrenia is a disorder characterized by delusions, hallucinations, negative symptoms, aggressive behavior in clear consciousness. Altered sensorium is seen in organic conditions like delirium.